Embossed pattern in radiograph is due to:
1. Static electricity
2. Lead foil side of the film kept towards the tube
3. Both 1 and 2
4. None of the above

Correct answer: 2. Lead foil side of the film kept towards the tube

Explanation: Herring bone pattern is also known as Embossed pattern.